Most common cause of death after Total Hip Replacement is -
1. Infection
2. Pneumonia
3. Anemia
4. Thromboembolism

Correct answer: 4. Thromboembolism

Explanation: Thromboembolic disease (Pulmonary embolism) is the most common cause of death after total hip replacement.